BK virus affects which organ transplantation?
1. Liver
2. Kidney
3. Lung
4. Marrow

Correct answer: 2. Kidney

Explanation: K for kidney.